Insulin stress test assay estimates -
1. Diabetes mellitus
2. Growth hormone
3. Glucagon assay
4. Catecholaines

Correct answer: 2. Growth hormone

Explanation: An insulin tolerance test (ITT) is a medical diagnostic procedure during which insulin is injected into a patient's vein, after which blood glucose is measured at regular intervals. Normally, both cortisol and GH serve as counterregulatory hormones, opposing the action of insulin, i.e. acting against the hypoglycemia . When used to assess insulin sensitivity, a standard dose of insulin is administered, and blood glucose is monitored with frequent sampling; the plasma glucose disappearance rate (KITT) indicates the degree of whole-body insulin sensitivity . Ref - pubmed.com